The most common complication of hypermature sclerotic cataract is:
1. Dislocation of the lens
2. Phakomorphic glaucoma
3. Uveitis
4. Neovascularization of retina

Correct answer: 1. Dislocation of the lens

Explanation: A i.e. Dislocation of lens